There is a mid-cycle shift in the basal body temperature (BBT) after ovulation in women. This is caused by :
1. FSH-peak
2. LH-peak
3. Oestradiol
4. Progesterone

Correct answer: 4. Progesterone

Explanation: D i.e. ProgesteroneProgesterone is thermogenic & responsible for the rise in basal body temperatureQ at the time of ovulationIncrease in basal body temperature at the time ovulation in reliable indicator of time of ovulation The rise starts 1-2 days after ovulationOther indicators of ovulation- Secretory patternQ on biopsy of endometrium- Thick cervical mucus that forms a fern pattern